A patient with ptosis, upper 4 mm of cornea is covered by upper eyelid. Grade of Ptosis is -
1. Mild
2. Moderate
3. Severe
4. Profound

Correct answer: 1. Mild

Explanation: It is measured by the amount of cornea covered by the lid and subtracting 2mm. Mild 2mm moderate 3mm severe 4mm Ref :ak khurana 6th edition